Troponin-T is preferable to CPK-in the diagnosis of acute myocardial infarction (MI) in all of the following situations except -
1. Bedside diagnosis of MI
2. Postoperatively (after CABG)
3. Reinfarction after 4 days
4. Small infarcts

Correct answer: 3. Reinfarction after 4 days